In a 25 day cycle ovulation occurs on :
1. 14th day
2. 13'h day
3. 11'h day
4. 12'h day

Correct answer: 3. 11'h day

Explanation: 11th day